Protozoan cysts are stored in -
1. Saline
2. Phenol
3. Nahypochloride
4. Formalin

Correct answer: 4. Formalin

Explanation: Ans. is 'd' i.e., Formalin o Formalin is the most common chemical used for preservation of faecal specimen,o It is appropriate for the preservation of helminth eggs and larvae, as well as protozoan cysts,o Two types of formaline can be used for preservation of specimens:-Formalin salineBufferedformalino 5% formalin is used to preserve protozoan cyst and 10% to preserve helminthic eggs and larvae,o Other preservatives used for same purpose are:-Merthiolate-Iodine-Formalin (MFV)Sodium acetate-Acetic acid-Formalin (SAF)Polyvinyl alcohol (PVA)Schaudinn 's pereservative